Which of the following GPIIb / IIIa antagonist is / are safe in renal failure?
1. Abciximab
2. Eptifibatide
3. Tirofiban
4. Both 2 & 3

Correct answer: 1. Abciximab

Explanation: Abciximab is safe in renal failure.
Eptifibatide & Tirofiban are excreted through kidneys.